Not allowing the emergence or development of the risk factor itself is which level of prevention?
1. Primordial
2. Primary
3. Secondary
4. Tertiary

Correct answer: 1. Primordial

Explanation: Ans. a (Primordial). (Ref. Park, PSM, 22th ed., 39; 341; 366)LEVELS OF PREVENTIONPrimordial prevention# It is first prevention in its purest form i.e. prevention of emergence of development of risk factor in countries or population groups in which they have not yet appeared.# Efforts taken to discourage children from adopting harmful habits.# Main intervention is through the individual or the mass education.Primary prevention# Action taken prior to the onset of the disease, which removes possibility that a disease will ever occur.# Intervention is done in a pre-pathogenesis phase of a disease.# It is accomplished by health promotion, promotion of quality of life and specific protection.# It is applied to prevention of chronic disease (CAD, hypertension and cancer) based on elimination/modification of the risk factors by two strategies, namely;- Population/mass- High riskSecondary prevention# Action, which halts the progress of disease at its incipient stage and prevents complications.# Intervention includes early diagnosis and treatment.# It is largely the domain of clinical medicine, but is an imperfect tool in control of transmission.Tertiary prevention# When a disease has advanced beyond its early stage, it is still possible to accomplish prevention by tertiary intervention in late pathogenesis phase.# All measures available to decrease or limit impairment and disabilities, minimize sufferings and to promote adjustment to irremediable diseases.